The most common toxin causing Dilated cardiomyopathy is -
1. Alcohol
2. Chemotherapeutic agents
3. Heavy metal
4. Occupational expsoure

Correct answer: 1. Alcohol

Explanation: Ans. is 'a' i.e., Alcohol o Chronic Alcohol consumption is the most common cause of Toxic Dilated Cardiomyopathy.'Alcohol is the most common toxin implicated in chronic dilated cardiomyopathy.' - Harrison 18th/e p. 1961